All are components of behaviour sciences except –
1. Political Science
2. Anthropology
3. Sociology
4. Psychology

Correct answer: 1. Political Science

Explanation: The term behavioral sciences include the : -
Sociology
Social psychology
Social anthropology.